Evacuation of the urinary bladder and stool with profuse sweating is a feature of
1. Mass reflex
2. Positive supportive reaction
3. labyrinthine righting reflex
4. Stretch reflex

Correct answer: 1. Mass reflex

Explanation: When even a relatively minor noxious stimulus is applied to the skin it may activate autonomic neurons and produce evacuation of the bladder and rectum, sweating, pallor, and bp swings in addition to withdrawal response. This distressing mass reflex can sometimes be used to give paraplegic patients a degree of bladder and bowel control. Ref: Ganong's review of medical physiology;23rd edition; pg:250